Forced diuresis with acidification or alkalinization of urine is a common method for elimination of certain poisons/drugs from the body. The elimination of which of the following drugs is commonly enhanced by alkaline diuresis -
1. Amphetamines
2. Phenobarbitone
3. Phencyclidine
4. Theophylline

Correct answer: 2. Phenobarbitone

Explanation: Amongst the give options, alkaline diuresis is used in barbiturate (phenobarbitone) poisoning.